Impulse generated in the tastebuds of the tongue reach the cervical cortex via the
1. Thalamus
2. Dorsal roots of the first cervical spinal nerve
3. Hypoglossal nerve
4. Lingual nerve

Correct answer: 1. Thalamus

Explanation: A. i.e. (Thalamus) (189- Ganong 22nd) (224- Ganong 23rd)* All the afferent from the tongue, both of taste and general sensibility, travel along the same pathway to the thalamus and sensory cortex.TASTE PATHWAYS - Receptors for taste sensation are the type III cells of taste bud's* Third order neurons are in the posteroventral nucleus of the thalamus. The axons from the third order neurons project in to parietal lobe of the cerebral cortex* Taste center in the opercular insular cortex i.e. in lower part of post central gyrus* Recently Umami a fifth taste sense has been added to the four classical taste modalities {sweat, salt, sour and bitter.) This taste is pleasant and sweat but differs from the standard sweet taste.